Cfitoris develops from
1. Urogenital Sinus
2. Labio Scrotal Swelling
3. Genital folds
4. Genital tubercle

Correct answer: 4. Genital tubercle

Explanation: Genital tubercle